The scalpel blade most commonly used for oral surgical procedures is:
1. No: 22
2. No: 12
3. No: 11
4. No: 15

Correct answer: 4. No: 15